In a right handed person, left temporoparietal lobe injury leads to all, Except:
1. Wemicke's Aphasia
2. Urinary Incontinence
3. Acalculia
4. Superior quadrantic Anopsia

Correct answer: 2. Urinary Incontinence

Explanation: Answer is B (Urinary Incontinence): Urinary incontinence is primarily a feature of frontal lobe lesion. Wernicke's aphasia and superior quadrantic anopsia are features of temporal lobe lesion and Acalculia is a feature of parietal lobe lesion. A temporoparietal lobe lesion thus produce Wernicke's aphasia, Acalculia and Superior Quadrantic Anopsia.